A child had hematuria and nephrotic syndrome (minimal change disease) was diagnosed. True about it is -
1. A type of focal segmental GN
2. IgA deposition on basement membrane
3. Foot process of glomerular membrane normal
4. Glomerular function is lost due to loss of poly charge on both sites of glomerular foot process.

Correct answer: 4. Glomerular function is lost due to loss of poly charge on both sites of glomerular foot process.